A child has respiratory distress, chest X-ray shows multiple air-filled space, the differential diagnosis is all except –
1. Congenital lung cyst
2. Congenital diaphragmatic hernia
3. Congenital lobar aplasia of lung
4. Congenital adenomatous malformation

Correct answer: 3. Congenital lobar aplasia of lung

Explanation: Congenital lobar aplasia does not produce air-filled spaces on chest X-ray. All other three options produce air-filled space on chest X-ray.